Which of the following passes through foramen spinosum?
1. Middle meningeal artery
2. Lesser petrosal nerve
3. Mandibular nerve
4. Accessory meningeal artery

Correct answer: 1. Middle meningeal artery

Explanation: Ans. is 'a' i.e., Middle meningeal artery * Structures passing through foramen spinosum arei) Middle meningeal areryii) Emissary veiniii) Nervus spinosus (meningeal branch of mandibular nerve)